Falanga is:
1. Beating on soles with blunt object
2. Beating on ear with both palms
3. Beating on the abdomen
4. Suspension by wrists

Correct answer: 1. Beating on soles with blunt object

Explanation: Beating on soles with blunt object